The following statement is true for internal rotation of the head:
1. Rotation occurs mostly in the cervix
2. In majority rotation occurs in the pelvic floor
3. Rotation occurs commonly after crowning of the head
4. Rotation is earlier in primipara than multipara

Correct answer: 2. In majority rotation occurs in the pelvic floor

Explanation: Ans. is b, i.e. In majority rotation occurs in the pelvic floorThe prerequisites of anterior internal rotation of the head are well-flexed head, efficient uterine contraction, favourable shape at the midpelvic plane and tone of the levator ani muscles.The level at which internal rotation occurs is variable. Rotation in the cervix although favorable occurs less frequently. In majority of cases, rotation occurs at the pelvic floor. Internal rotation occurs earlier in multipara than primipara Rarely, it occurs as late as crowning of the head.